Z-lines are anchored to the sarcolemma by:
1. Titin
2. Dystrophin
3. Desmin
4. Actinin

Correct answer: 3. Desmin

Explanation: Desmin and vimentin are the proteins that anchor Z-lines to sarcolemma. a-actinin and CapZ proteins anchor the thin filaments to the Z-lines. Titin is attached to the Z-line, and it aligns the thick filament in sarcomere. Dystrophin is attached to the ends of thin filaments (toward the center of sarcomere); it extends from thin filament to sarcolemma.